Ophthalmologic examination of a patient shows 'vossius ring' which is characteristic of the following condition:
1. Penetrating injury
2. Concussion injury
3. Lens dislocation
4. Extracapsular extraction

Correct answer: 2. Concussion injury

Explanation: Vossius ring occurs in traumatic iritis which frequently develops after closed globe concussion injury. Symptoms include pain, especially in bright light, blurred vision, and tenderness of the globe. Slit Lamp examination reveals inflammatory cells and flare in the anterior chamber, and finely dispersed cellular keratic precipitates on the corneal endothelium. There may be a Vossius ring of dark brown iris pigment on the anterior lens capsule. Ref: Augsburger J.J., Correa Z.M. (2011). Chapter 19. Ophthalmic Trauma. In P. Riordan-Eva, E.T. Cunningham, Jr. (Eds), Vaughan & Asbury's General Ophthalmology, 18e.